A 50 years old male presents with massive splenomegaly. His differential diagnosis will include all, except
1. Chronic mycloid leukemia
2. Polycythemia rubra vera
3. Hairy cell leukemia
4. Aplastic anemia

Correct answer: 4. Aplastic anemia

Explanation: Diseases Associated with massive splenmegaly.



Chronic myclogenous leukemia
Gaucher's disease


Lymphomas
Chronic lymphocytic leukemia


Hairy cell leukemia
Sarcoidosis


Myelofibrosis with myeloid metaplasia
Autoimmune hemolytic anemia


Polycythemia vera
Diffuse splenic human giomatosis